True statement regarding X ray beam
1. For a heterogenous beam, the half value layer (HVL) decreases as the beam passes through the material.
2. It reduces in equal quantities as it passes through the material of equal thickness
3. No matter how thick the material, it is not possible to completely absorb the primary X ray beam.
4. Wearing lead gloves protect the operator form X ray beam

Correct answer: 3. No matter how thick the material, it is not possible to completely absorb the primary X ray beam.

Explanation: Answer: c) No matter how thick the material, it is not possible to completely absorb the primary X ray beamStatementExplanationFor a heterogenous beam; the half value layer decreases as the beam passes through the materialAs a result of beam hardening the penetrating power of the beam increases, resulting in an increase in the HVL.It reduces in equal quantities as it passes through material of equal thicknessThis is only true for a mono-energetic beam. X-ray beams consist of photons with varying energies (poly- energetic).No matter how thick the material, it is not possible to completely absorb the primary X ray beamTrue. This is known as the exponential lawWearing lead gloves protect the operator form X ray beamProtective equipment does not provide protection against the primary beam, only the attenuated rays.Beam hardening results from the low-energy photons being attenuated proportionally more than the high-energy photons as the beam travels through a material.